Most specific marker for neural tube defects is
1. Alpha-fetoprotein
2. Unconjugated estriol
3. Acetylcholinesterase
4. Pseudocholinesterase

Correct answer: 3. Acetylcholinesterase

Explanation: Both alpha-fetoprotein and acetylcholinesterase in amniotic fluid are markers for neural tube defects. But acetylcholinesterase is the most specific marker. Ref : Dutta book of obstetrics 8th Ed